Bilateral balanced occlusion is:
1. Balance in working lateral and protrusive contacts
2. Balance in lateral contacts only
3. Balance in working, balancing and protrusive contacts
4. Balance in protrusive contacts only

Correct answer: 3. Balance in working, balancing and protrusive contacts